Physical quality of life index is measured by all, Except
1. Infant mortality
2. Life expectancy at age one
3. Literacy
4. Per capita income

Correct answer: 4. Per capita income

Explanation: (Refer: K. Park's Textbook of Preventive and Social Medicine, 24th edition, pg no: no: 17, 18)Human Development Index (HDI) Vs Physical Quality of Life Index (PQLI)HDIPQLIComponentsLongevity - Life expectancy at birth (LEdeg/LEdeg)Income (Real GDP per capita in PPP US$)Knowledge (Mean years of schooling - Gross enrolment ratio & Literacy rate)Life expectancy at 1 year age (LE)Infant mortality rate (IMR)Literacy rateRange0 to +10 to 100Value of India0.547 (2011)Ranking - 131 in 2017130 as medium development category (2015) among 188 countries65 (old index, now not used)